Crackles are frequently heard in which of the following conditions?
1. Pneumothorax
2. Pleural effusion
3. Bronchial asthma
4. Bronchiolitis

Correct answer: 4. Bronchiolitis

Explanation: The presence of finger clubbing and the presence of bi-basal fine late inspiratory crackles are characteristic feature of respiratory bronchiolitis. Breath sounds are diminished or absent in pneumothorax and pleural effusion.Bronchial asthma is characterised by the presence of rhonchi Ref:Davidson's med:22nd edition,page no:708.